All are predisposing factors of Osteogenic sarcoma except
1. Pagets disease of bone
2. Radiation
3. Viral infection
4. Bone infection

Correct answer: 3. Viral infection

Explanation: Causes of secondary Osteosarcoma Paget disease. Radiation Fibrous dysplasia Enchondromatosis Multiple osteochindroma Bone infraction Chronic osteomyelitis Refer Maheshwari 9th/e p 239